Isotope Renogram -
1. Study of renin mechanism
2. Contrast study of kidneys, ureter and bladder
3. Utilised in mapping the anatomy of kidneys
4. Graphic representation of radioactivity of kidneys

Correct answer: 4. Graphic representation of radioactivity of kidneys